Senile plaques in Alzeihmer's diseasae are rich in-
1. Amyloid
2. Tau protein
3. ApoE
4. Neuroglia

Correct answer: 1. Amyloid

Explanation: *Pathology: neuritic plaques composed in part of Ab amyloid, derived from amyloid precursor protein (APP); neurofibrillary tangles composed of abnormally phosphorylated tau protein. Ref Harrison20th edition pg 2567